Which of the following antibiotics can be used in the treatment of fungal keratomycosis?
1. Silver sulfadiazine
2. Linezolid
3. Vancomycin
4. Doxycycline

Correct answer: 1. Silver sulfadiazine

Explanation: Ans. a. Silver sulfadiazine (Ref: Clinical Pharmacology by Jill E. Maddison. Stephen W. Page, David Church/p567)Silver sulfadiazine can be used in the treatment of fungal keratomycosis.'There are three main groups of ocular antifungal agents- polyene antibacterials , pyrimidines and imidazoles. Other drugs used to treat fungal infections include iodine and silver sulfadiazine.'- Clinical Pharmacology by Jill E. Maddison, Stephen W. Page, David Church/p567